Lesion in the medial lemniscus at the level of pons causes which of the following?
1. Pain and temperature loss in the same side
2. Pain and temperature loss in the opposite side
3. Loss of tactile and proprioception on the same side
4. Loss of tactile and proprioception on the oppposite side

Correct answer: 4. Loss of tactile and proprioception on the oppposite side

Explanation: Lesion in the medial lemniscus at the level of pons causes loss of tactile and proprioception on the opposite side. Fibers of medial lemniscus ascend ipsilaterally in the dorsal columns of the spinal cord to the medulla, where they synapse in the gracilis and cuneate nuclei. The second order neurons from these nuclei cross the midline and ascend in the medial lemniscus to end in the contralateral ventral posterior lateral (VPL) nucleus and related specific sensory relay nuclei of the thalamus. Ref: Ganong's Review of Medical Physiology 26th edition PGno: 165